What will be hemoglobin saturation, if P02 is 60 mm Hg at pH 7.4 and temperature 37degC ?
1. 50%
2. 60%
3. 75%
4. 90%

Correct answer: 4. 90%

Explanation: Ans. is `d' i.e., 90%Examiner is asking about Hb saturation at PO2 60 mmHg, under normal physiological conditions (pH 7.4, temperature 37degC). At PO2 60 mmHg, Hb saturation is 89%.